Nerve damaged in radical mastoidectomy is
1. Facial nerve
2. Cochlear nerve
3. Vestibular nerve
4. Mandibular nerve

Correct answer: 1. Facial nerve

Explanation: Facial nerve is involved in radical mastoidectomy Facial paralysis is the complication Ref: Dhingra 7e pg 460